If the seventh nerve is damaged on the right side of the face
1. the muscles of mastication would be denervated
2. the muscles of facial expression would be denervated
3. taste from the right anterior two thirds of the tongue would not be affected
4. sympathetic fibre to salivary gland would be interrupted

Correct answer: 2. the muscles of facial expression would be denervated